True of poisonous snakes are all, except:
1. Fangs present
2. Belly scales are small
3. Small head scales
4. Grooved teeth

Correct answer: 2. Belly scales are small

Explanation: Ans. Belly scales are small